The segment of DNA between chromosomal and extrachromosom al DNA molecules within the cells are -
1. Transposons
2. Cosmid
3. Plasmid
4. Episomes

Correct answer: 1. Transposons

Explanation: Ans. is 'a' i.e., Transposons